An agricultural labourer presented with progressive spastic paralysis is diagnosed of having neurolathyrism. It results from consumption of:
1. Aflatoxin
2. BOAA
3. Pyruvic acid
4. Sanguinarine

Correct answer: 2. BOAA

Explanation: Lathyrism results due to ingestion of chick peas (Lathyrus sativus) containing the excitotoxin beta-N-oxalylamino-l-alanine (BOAA). Lathyrus sativus is commonly known as 'Khesari dhal'. Lathyrism is a neurologic syndrome characterized by the relatively acute onset of pain, paresthesia, and weakness in the lower extremities, progressing to a permanent spastic paraplegia. Diets containing over 30% of this dhal if taken over a period of 2-6 months will result in neurolathyrism. Ref: Textbook of Preventive and Social Medicine by K Park, 19th edition, Page 512.